Tuberculate spores are diagnostic in:
1. Cryptococcosis
2. Chromomycosis
3. Sporotrichosis
4. Histoplasmosis

Correct answer: 4. Histoplasmosis

Explanation: Histoplasma capsulatum is a dimorphic fungus. As a yeast, it exists intracellularly in macrophages as a 2-4 micron budding spherical form. When grown in culture medium, hyaline septate hyphae with small microconidia tuberculate macroconidia are seen in H. capsulatum. These macro conidia are having finger like projection on their surface.